Which of the following deciduous molars bears the
greatest resemblance to a premolar
1. Maxillary first
2. Maxillary second
3. Mandibular first
4. Mandibular second

Correct answer: 1. Maxillary first